Talus bone articulates with all of the following EXCEPT:
1. Calcaneum
2. Tibia
3. Navicular
4. Cuboid

Correct answer: 4. Cuboid

Explanation: Proximal surface of cuboid articulates with calcaneum, distal surface with 4th and 5th metatarsal and medial surface articulates with lateral cuneiform bone.